Regarding HIV which of teh following is nopt true -
1. It is a DNA retrovirus
2. Contains Reverse Transcriptase
3. May infect host CD4 cells other than T lymphocytes
4. Causes a reduction in host CD4 cells at late stage of disease

Correct answer: 1. It is a DNA retrovirus

Explanation: HIV genome is diploid composed of 2 identical single stranded positive sense RNA copies.In association with reverse transcriptase enxyme. REF:ANANTHANARAYAN AND PANIKER'S TEXTBOOK OF MICROBIOLOGY 9TH EDITION PAGE NO:571